Biomedical concept of health is based on :
1. Germ theory of disease
2. Absence of pain
3. Social and psychological factors
4. Equilibrium between man and environment

Correct answer: 1. Germ theory of disease

Explanation: BIOMEDICAL CONCEPT OF HEALTH: Health is being 'Free from disease' Based on 'Germ theory of disease' Limitation of concept : Minimal role of environmental, social, psychological and cultural determinants of health Ref: Park 25th edition Pgno : 13